When treating hypertension chronically, orthostatic hypotension is maximum with:
1. Clonidine
2. Guanethidine
3. Prazosin
4. Propanolol

Correct answer: 2. Guanethidine

Explanation: Postural hypotension cause by a-blockers is called first dose hypotension because tolerance occurs to this adverse effect on chronic use. On the other hand, adrenergic neuron blockers continue to produce orthostatic hypertension even on chronic use.